Early fusion of coronal suture along with other skull sutures is seen in:
1. Brachycephaly
2. Oxycephaly
3. Trigonocephaly
4. Scapocephaly

Correct answer: 2. Oxycephaly

Explanation: Premature closure of the coronal suture results in a ahigh, tower-like cranium, called oxycephaly or turricephaly. It is more common in females.